A girl who is staying in a hostel presented with severe itching all over the body since two days. Intense itching worsens at night and after a hot shower. Burrows are seen between the fingers. How many live mites are there in an adult with scabies?
1. 10-May
2. 15-Oct
3. 15-20
4. 20-25

Correct answer: 2. 15-Oct

Explanation: Scabies: The human itch mite, Sarcoptes scabiei, is a common cause of itching dermatosis. Gravid female mites that measure 0.3 mm in length burrow superficially beneath the stratum corneum, depositing three or fewer eggs per day. Nymphs mature in 2 weeks and then emerge as adults to the surface of the skin. Immunity and associated scratching limit most infestations to Burrows appear as dark wavy lines in the epidermis and measure up to 15 mm. Lesions occur most frequently on the volar wrists, between the fingers, on the elbows, and on the penis. Permethrin cream (5%) is effective against lindane-tolerant infestations. Ref: Pollack R.J. (2012). Chapter 397. Ectoparasite Infestations and Arthropod Bites and Stings. In D.L. Longo, A.S. Fauci, D.L. Kasper, S.L. Hauser, J.L. Jameson, J. Loscalzo (Eds), Harrison's Principles of Internal Medicine, 18e.